Linear deposition of IgG on glomerular basement membrane is seen in -
1. CRF
2. Good pasteur's syndrome
3. Nephrotic syndrome
4. Shunt nephritis

Correct answer: 2. Good pasteur's syndrome

Explanation: Ans. is 'b' i.e., Good pasture's syndrome